Which cervical vertebra that does not have a body or spinous process?
1. C1
2. C2
3. C3
4. C4

Correct answer: 1. C1

Explanation: Features of typical cervical, thoracic and lumbar vertebra are given below.